Which of the following is used for abdominal pregnancy
1. Studiford criteria
2. Speigelberg criteria
3. Rubins criteria
4. Rotterdam criteria

Correct answer: 1. Studiford criteria

Explanation: Studdiford criteria : To diagnose the abdominal pregnancy Both the tubes and ovaries are normal without any recent injuries Absence of uteroperitoneal fistula Presence of pregnancy related exclusively to the peritoneal surface and young enough to eliminate the possibility of secondary implantation following the primary nidation in the tube. Ref: Dutta Obs 9e pg 177.